Most common type of pelvis in women is
1. Gynecoid
2. Anthrapoid
3. Android
4. Platypelloid

Correct answer: 1. Gynecoid

Explanation: Caldwell (1939) reported that the gynecoid pelvis was found in almost half of women.(Ref: William's Obstetrics; 25th edition)